A high tracheostomy may be indicated in
1. Scleroma of the larynx
2. Multiple papillomatosis of larynx
3. Bilateral vocal cord paralysis
4. Carcinoma of larynx

Correct answer: 4. Carcinoma of larynx

Explanation: A high tracheostomy may be indicated only in carcinoma of larynx because in such cases, total larynx anyway would ultimately be removed and a fresh tracheostomy made in a clean area lower down A high tracheostomy is done above the level of thyroid isthmus Re: Textbook of Ear, Nose and Throat, Dhingra, 6th Edition; Pg no: 316